Osteomeatal complex connects:
1. Nasal cavity with maxillary sinus
2. Nasal cavity with sphenoid sinus
3. The two nasal cavities
4. Nasal cavity with lacrimal sac

Correct answer: 1. Nasal cavity with maxillary sinus

Explanation: (a) Nasal cavity with maxillary sinus(Ref. Cummings, 6th ed., 752)All the structures of the middle meatus together constitutes osteomeatal complex. The osteomeatal complex connects the nasal cavity with maxillary, frontal and anterior ethmoid sinuses.Spheno-ethmoidal recess connects Sphenoid sinus with nasal cavity.Nasolacrimal duct connects nasal cavity with lacrimal sac.The two nasal cavities remain separated by the nasal septum